All disease are included in internationally notifiable disease except
1. Plague
2. Cholera
3. TB
4. Yellow fever

Correct answer: 3. TB